Which of the following anti-Parkinson drugs has the potential to cause retroperitoneal fibrosis ?
1. Pramipexole
2. Entacapone
3. Bromocriptine
4. Ropinirole

Correct answer: 3. Bromocriptine

Explanation: Ans. is 'c' i.e., Bromocriptine Retroperitoneal fibrosis can be caused by ergot antiparkinsonism drugs (bromocriptine and pergolide).